Exudative retinal detachment is seen in?
1. High myopia
2. Pre eclampsia
3. Chorioretinal degeneration
4. Penetrating injuries to the eye

Correct answer: 2. Pre eclampsia

Explanation: Retinal detachment - Separation of neurosensory retina proper from pigmentary epithelium Rhegmatogenous RDTractional RDExudative RDMyopia Aphakia Trauma Senile posterior vitreous detachmentPost-traumatic retraction of scar tissue Proliferative diabetic retinopathy Posthemorrhagic retinitis proliferans Retinopathy of prematurity Plastic cyclitis Sickle cell retinopathy Eales diseaseSystemic diseases - toxemia of pregnancy, renal hypertension, blood dyscrasias, PAN Ocular diseases Inflammation - VKH syndrome, sympathetic ophthalmia, posterior scleritis Vascular - central serous retinopathy, Coats disease Neoplasm - malignant melanoma of choroid, retinoblastoma Sudden hypotony of the globe(Refer: AH Khurana, Comprehensive Textbook of Ophthalmology,5thedition, pg no: 295-299)